The pathogenesis of hypochromic anemia in lead poisoning is due to -
1. Lead blocks transferrin receptors of erythroid precursors
2. Binding of lead to transferrin, inhibiting the transport of iron
3. Inhibition of enzymes involved in heme biosynthesis
4. Inhibiting breakdown of ferritin into hemosiderin

Correct answer: 3. Inhibition of enzymes involved in heme biosynthesis

Explanation: Iron should be combined with protoporphyrin to synthesize Heme. To synthesize protoporphyrin and combine it with iron, enzymes like ALA synthase, ALA dehydratase & Ferrochelatase are required. Lead inhibits heme synthesis by inhibiting enzymes ALA dehydratase & Ferrochelatase resulting in microcytic hypochromic anemia.